Amphoterecin B toxicity can be lowered by:
1. Giving it with Glucose
2. Decreasing the dose
3. Using Liposomal delivery systems
4. Combining with flucytosine

Correct answer: 3. Using Liposomal delivery systems

Explanation: Nephrotoxicity is the most important toxicity associated with the use of amphotericin B. Use of liposomal amphotericin B is associated with much lower nephrotoxicity, minimal anemia and minimal acute reaction on i.v infusion. Ref: Essentials of Medical Pharmacology By KD Tripathi, 5th Edition, Page 716, 717; Lippincott's Pharmacology, 4th Edition, Page 408; Basic and Clinical Pharmacology By Bertram G. Katzung, 11th Edition, Page 838, 839, 836, 837.